The first sign of Volkman's ischemia is:
1. Paresthesia
2. Pain on passive extension of fingers
3. Pain on active extension of fingers
4. Swelling of fingers

Correct answer: 2. Pain on passive extension of fingers

Explanation: B i.e. pain on passive extension of finger